Amount of estrogen in Mala D is:
1. 30 μg
2. 50 μg
3. 10 μg
4. 80µg

Correct answer: 1. 30 μg